Disinfection is the process in which there is
1. Destruction of all microbes including spores
2. Destruction of all microbes except spores
3. Chemical agents are applied to body surfaces to kill pathogenic microorganisms present on skin
4. None of the above

Correct answer: 2. Destruction of all microbes except spores

Explanation: Disinfection refers to process that destroys most if not sall  pathogenic organisms but not bacterial spores.